IoC to detect minimal ascites
1. USG
2. CT
3. MRI
4. PET

Correct answer: 1. USG

Explanation: Ioc to detect minimal ascites → USG.